AG2P1 to female has a history of previous preterm birth at 32 weeks. The percentage chances of preterm birth in this pregnancy are:
1. 5%
2. 10%
3. 15%
4. 25%

Correct answer: 3. 15%

Explanation: Preterm labour is defined as spontaneous expulsion of the products of conception after viability and before 37 completed weeks.Prior preterm birth is a very good predictor of subsequent preterm labour.There is three fold increase in risk for these women (refer pgno:193 sheila textbook of obstetrics 2 nd edition)